Gamma motor neurons are mainly influenced by -
1. Tectospinal tract
2. Vestibulo spinal tract
3. Reticulo spinal tract
4. Corticospinal tract

Correct answer: 3. Reticulo spinal tract